A patient with pulmonary fibrosis comes to emergency with arrhythmia. Which anti-arrhytmia drug should be avoided?
1. Lignocaine
2. Procainamide
3. Amiodarone
4. Verapamil

Correct answer: 3. Amiodarone

Explanation: Amiodarone should be avoided in a patient with pulmonary fibrosis who comes to emergency with arrhythmia. Adverse effects of Amiodarone: The Thyroid (hypo and hypehyroidism) Peripheryof Peripheralneuropathy My Myocardial depression Lung Lungfibrosis Liverand LiverToxicity Corneais Cornealmicrodeposits Photosensitive Photosensitivity